Most common site for carcinoma pancreas is
1. Head
2. Body
3. Tail
4. Neck

Correct answer: 1. Head

Explanation: More than 85 percent of pancreatic cancers are ductal adenocarcinomas.They arise most commonly in the head of the gland Bailey & Love ,26th,1137.